Food causes reflex defecation?
1. Enterogastric reflex
2. Defecation reflex
3. Gastrocolic reflex
4. Rectoanal reflex

Correct answer: 3. Gastrocolic reflex

Explanation: Ans. is'c'i.e., Gastrocolic reflex[Rel Guyton llth/e p. 771)Appearance of mass movements after a rneal is facilitated by gastrocolic and duodenum reflexes.These reflexes result from the distension of the stomach and duodenum.The best example of gastrocolic reflex is seen in early infancy where defecation often follows a meal.